Hyperkeratosis of palm and sole is seen in
1. Carcinoma colon
2. Hepatoma
3. Adenocarcinoma lung
4. Ca oesophagus

Correct answer: 4. Ca oesophagus